All is true about Brown - sequard syndrome except
1. Hemisection of spinal cord
2. Ipsilateral loss of vibration sensations
3. Ipsilateral loss of crude touch sensations
4. Ipsilateral paralysis below the level of lesion

Correct answer: 3. Ipsilateral loss of crude touch sensations

Explanation: The patient present with contralateral loss of crude touch sensations, since anterior spinothalamic tract carrying these sensations, crosses the midline and runs on the opposite half of spinal cord.